Non motile organism -
1. E. coli
2. Vibrio cholera
3. Proteus vulgaris
4. Shigella dysentery

Correct answer: 4. Shigella dysentery

Explanation: Entire Enterobacteriaceae family is motile (peritrichous flagella )except:- Shigella and Klebsiella., atypical e.coli, salmonella gallinarium, salmonella pullorum, yersenia pestis